What is the T/t of pt with carcinoid tumor of appendix of size more than 2 cm -
1. Right hemicolectomy
2. Appendicectomy
3. Appendicectomy + abdominal CT scan
4. Appendicectomy + 24 hrs urinary HIAA

Correct answer: 1. Right hemicolectomy

Explanation: Carcinoid tumours * Neuroendocrine tumors - comprise a broad family of tumors, the most common of which are ; - carcinoid tumors (most commonly arising in the lungs and bronchi (so-called bronchopulmonary), small intestine, appendix, rectum, and thymus) and - pancreatic neuroendocrine tumors. - Other less common neuroendocrine tumors include those arising in the parathyroid, thyroid, adrenal, and pituitary glands) . TREATMENT OF CARCINOID SYNDROME Diuretics -- heart failure Bronehodilators -- wheezing Antidiarrhoeal agents, niacin supplementation Somatostatin analogues nwtreolide) -- 100 mg sk 8 hourly -- 3000 mg/ day Before surgery -- 150-250 nig sk 6-8 hrly 24-48 hrs prior to anaesthesia Inhibitors of serolonin synthesis are emerging as a new dam of age. to treat eareinoid syndrome. Telotristat etiprate Right hemicolectiomy Ref: Sabiston 20th Ed. ; Schwartz 11th Ed.